In chronic respiratory alkalosis, HCO3- falls by _____ mmol/L for every 10 mm Hg decrease in C02
1. 1
2. 2
3. 3
4. 4

Correct answer: 4. 4

Explanation: R. acidosis: CO2| HCO3| Compensation Acute 10 mm 1 meq Chronic 10 mm 4 meq R. alkalosis CO2| HCO3| Acute 10mm 2meq Chronic 10mm 4meq